Ulceration of Peyer's patches occur in _________ infection
1. Amoebiasis
2. Crohn's
3. Salmonella
4. Clostridium difficile

Correct answer: 3. Salmonella

Explanation: The Peyer's patches show oval ulcers with their long axis along the length of the bowel in typhoid ulcer (salmonella infection).